A 16 year old girl presented with a painless swelling in the midline of the neck and moves up and down with swallowing and with protrusion of the tongue. Which is the most common site of thyroglossal cyst?
1. Subhyoid
2. Suprahyoid
3. Tongue
4. Subomohyoid

Correct answer: 1. Subhyoid

Explanation: Thyroglossal cyst arises from thyroglossal tract (extending from foramen caecum to isthmus of thyroid). Most common site is subhyoid. Other sites are thyroid and suprahyoid. Typical presentation is painless, midline swelling in 15-30 years old female. It is a soft, cystic, fluctuant, transillumination negative swelling. It moves sideways, not vertically, with deglutition and protrusion of tongue (TUG due to attachment with hyoid). Ref: Manual of Surgery: Essential Cases in Surgery By Sumit Chhikara, 2005, Page 58; Schwartz's Principles of Surgery 9th edition, Chapter 39